In stable angina -
1. CK-MB is elevated
2. Troponin I is elevated
3. Myoglobin is elevated
4. The levels of cardiac markers remain unchanged

Correct answer: 4. The levels of cardiac markers remain unchanged